Which of the following is used in the treatment of well differentiated thyroid carcinoma:
1. I-131
2. Technetium Scan
3. Phosphate
4. MIBG

Correct answer: 1. I-131

Explanation: Ans. (a) I131Ref: Schwartz 10th edition, Page 1543* I131 is used in the treatment of metastatic well differentiated cancers.* I123, Tc 99m are all used only for diagnostic purposes.